Anatomical dead space of normal lung is
1. 150 ml
2. 250 ml
3. 300 ml
4. 350 ml

Correct answer: 1. 150 ml